Mechanism of cyanide poisoning is by inhibiting:
1. DNA synthesis
2. Cytochrome oxidase
3. Protein breakdown
4. Protein synthesis

Correct answer: 2. Cytochrome oxidase

Explanation: Ans. Cytochrome oxidase